A drug used to prevent niacin-induced flushing is
1. Paracetamol
2. Cetrizine
3. Aspirin
4. Dexamathasone

Correct answer: 3. Aspirin

Explanation: Niacin-induced flushing:Prostaglandin-mediatedAlways starts in the face and may be accompanied by skin dryness, itching, paraesthesia and headachePremedication with aspirin may alleviate these symptomsFlushing is subject to tachyphylaxis and often improves with time(Ref: Harrison's 18/e p598)